Mrs. S (G2 L1) presented to the hospital in labor pains. On examination she had 3 uterine contractions of 20 seconds in 10 minutes, cervical dilation 6 cm and HR 145 bpm. What is the stage of labor?
1. Stage I
2. Stage II
3. Stage III
4. Stage IV

Correct answer: 1. Stage I

Explanation: Ans. is a, i.e. Stage IAs discussed in chapter 7 of the book, first stage of labor is from the time when a female starts perceiving true labor pains and uptil 10 cm of dilatation.